The axis of abduction and adduction of digits passes through the centre of
1. 2nd metacarpal
2. 3rd metacarpal
3. 4th metacarpal
4. 5th metacarpal

Correct answer: 2. 3rd metacarpal

Explanation: The third metacarpal is the longest and the axis of abduction and adduction passes through its centre.Ref: Chaurasia; Volume 2; 6th edition; Page no: 31